All of the following are causes of exudative plural effusion except
1. Mesothelioma
2. Liver cirrhosis
3. Tuberculosis
4. Esophageal perforation

Correct answer: 2. Liver cirrhosis

Explanation: (B) Liver cirrhosis DIFFERNETIAL DIAGNOSES OF PLEURAL EFFUSIONTRANSUDATE PLEURAL EFFUSIONS1. Congestive heart failure4. Nephrotic syndrome7 Myxedema2. Cirrhosis5 Peritoneal dialysis8 Urinothorax3. Pulmonary embolization6 Superior vena cava obstruction EXUDATIVE PLEURAL EFFUSIONS1. Neoplastic diseases5. Collagen-vascular diseasese. Sjogren's syndromea. Metastatic diseasea. Rheumatoid pleuritisf. Wegener's granulomatosisb. Mesotheliomab. Systemic lupus erythematosusg. Churg-Strauss syndrome2. Infectious diseasesc. Drug-induced lupus13 Trapped lunga. Bacterial infectionsd. Immunoblastic lymphadenopathy14 Radiation therapyb. Tuberculosis6 Post-coronary artery bypass surgery15 Post-cardiac injury syndromec. Fungal infections7 Asbestos exposure16 Hemothoraxd. Viral infections8 Sarcoidosis17 Latrogenic injurye. Parasitic infections9 Uremia18 Ovarian hyperstimulation syndrome3. Pulmonary embolization10 Meigs' syndrome19 Pericardial disease4. Gastrointestinal disease11 Yellow nail syndrome20 Chylothoraxa. Esophageal perforation12 Drug-induced pleural disease b. Pancreatic diseasea. Nitrofurantoin c. Intraabdominal abscessesb. Dantrolene d. Diaphragmatic herniac. Methysergide e. After abdominal surgeryd. Bromocriptine f. Endoscopic variceal sclerotherapye. Procarbazine g. After liver transplantf. Amiodarone